Would closure for clean wounds within 6 hours of injury without risk of contamination is called
1. Primary closure
2. Delayed primary closure
3. Secondary closure
4. Tertiary closure

Correct answer: 1. Primary closure

Explanation: Answer: a) Primary closure.Primary ClosureAlso known as healing by primary intentionHave a small, clean defect that minimizes the risk of infectionRequires new blood vessels and keratinocytes to migrate only a small distanceSurgical incisions, paper cuts and small cutaneous wounds usually heal by primary closure.Fastest type of closure by simple suturing, skin grafting or flap closure Secondary ClosureAlso known as healing by secondary intentionHealing of a wound in which the wound edges cannot be approximatedRequires a granulation tissue matrix to be built to fill the wound defectRequires more time and energy than primary wound closureCreates more scar tissueThe majority of wounds close by secondary wound closure.Delayed Primary ClosureAlso known as healing by tertiary intention.Combination of healing by primary and secondary intentionThe wound is first cleaned and observed for a few days to ensure no infection is apparent, before it is surgically closed.E.g. traumatic injuries such as dog bites or lacerations involving foreign bodies.